Yuzpe and lance regimen should be administered within maximum -------
1. 3 hours
2. 12 hours
3. 24 hours
4. 72 hours

Correct answer: 4. 72 hours

Explanation: Yuzpe and Lance Method : Combined Oral pills are generally accepted as the preparation of choice for post coital (emergency) contraception, as it is less likely to cause adverse side effects. Regimens. Current recommendation (pills with 30mcg oestrogen) : 4 pills immediately followed by 4 pills 12 hours later. Standard method : (pills with 50 mcg oestrogen) : 2 pills immediately followed hy 2 pills 12 hours later Pills with 200 mcg oestrogen : 1 pill immediately followed by 1 pill 12 hours later Regimens should be completed within 72 hours of coitus The sooner started, the more effective it is and the effectiveness more than 72 hours after sexual intercourse is greatly reduced Method is not guaranteed to prevent pregnancy A test should be carried out if the period is >3 days late The regimen does not protect against STD Phrase 'morning after pill' is figurative : Combined OCP's can be used for upto 72 hours after sexual intercourse MC side effect reported by users of emergency contraceptive pills :Nausea Ref : Park 25th edition Pgno : 535